The narrowest part of the larynx is
1. Ventricle
2. Vestibule
3. Subglottic space
4. Glottis

Correct answer: 4. Glottis

Explanation: The rima has an anterior intermembranous part (three-fifth) and a posterior intercartilaginous part, The rima is the narrowest part of the larynx. It is longer (23 mm) in males than in females (17 mm ). ref : B D Chaurasia's Human Anatomy , sixth edition, volume 3 , pg. no. 256 ref : 16.15a , B D Chaurasia's Human Anatomy , sixth edition, volume 3 , pg. no. 255